Regarding vasomotor symptoms seen with menopause, all are true except
1. Most common symptom of menopause.
2. Fall in circulating oestrogen levels disrupts the body's thermostat.
3. Hot flush affects typically trunk and limbs.
4. 70 percent of women experience vasomotor symptoms at menopause.

Correct answer: 3. Hot flush affects typically trunk and limbs.

Explanation: Hot flush classically affects upper trunk and head and neck.